A patient of total parenteral nutrition develops delayed wound healing, loss of taste, deficient immunity and diarrhea. Most probably it could be due to deficiency of:
1. Selenium
2. Copper
3. Zinc
4. Iron

Correct answer: 3. Zinc

Explanation: Ans. C: Zinc Symptoms of Zinc Deficiency Poor Immune system Weight loss Intercurrent infections Hypogonadism in males Lack of sexual development in females Growth retardation Dwarfism Delayed puberty in adolescents Rough skin Poor appetite Mental lethargy Delayed wound healing Short stature Diarrhea Congenital abnormalities causing zinc deficiency may lead to a disease called acrodermatitis enteropathica.